Ochronosis is seen in poisoning with:
1. HCl
2. Boric acid
3. Oxalic acid
4. Carbolic acid

Correct answer: 4. Carbolic acid

Explanation: Ans. Carbolic acid